Soft tick transmits -
1. Bebesiosis
2. Relapsing fever
3. Scrub typhus
4. Ricketssial pox

Correct answer: 2. Relapsing fever

Explanation: Vector Diseases transmitted Soft tick Relapsing fever, Q fever, KFD (outside India) Hard tick Tularemia, Babesiosis, KFD (India), Tick paralysis, Tick encephalitis, Indian tick typhus, Tick hemorrhagic fever, Rocky Mountain spotted fever. REF: PARK'S TEXTBOOK OF PREVENTIVE AND SOCIAL MEDICINE, 25TH EDITION, PG NO. 841